Sensory neuropathy is caused by all except-
1. Lead
2. Pyridoxine
3. Cisplatin
4. Paraneoplastic

Correct answer: 1. Lead

Explanation: Harrison's principles of internal medicine * In case of lead ( ninpharmaceutucal toxins) motor involvement and CNS involvement is greater Ref Harrison20th edition pg 2345